A young man develops gross hematuria 3 days after an attack of URTI; likely renal pathology -
1. Acute glomerulonephritis
2. Minimal change disease
3. IgA nephropathy
4. Membranous glomeruloonephritis

Correct answer: 3. IgA nephropathy

Explanation: IgA nephropathy (nuh-FROP-uh-thee), also known as Berger's disease, is a kidney disease that occurs when an antibody called immunoglobulin A (IgA) builds up in your kidneys. This results in local inflammation that, over time, can hamper your kidneys' ability to filter waste from your blood. Ref Harrison20th edition pg 298